A child presents with peripheral circulatory failure. The arterial pH is 7.0, pCO2 of 15 mmHg, pO2 76 mmHg. Which of the following will be the immediate therapy-
1. Sodium bicarbonate infusion
2. A bolus of Ringers lactate
3. A bolus of hydroxyethyl starch
4. Dopamine infusion

Correct answer: 2. A bolus of Ringers lactate

Explanation: Ans- B Volume replacement by RL or normal saline is the first step in the management of shock (peripheral circulatory failure). Giving Sod bicarb without fluids increases mortality by cardio-depressant action